All following secreted by Bronchogenic Ca except
1. Nor adrenaline
2. PTH
3. ACTH
4. DH

Correct answer: 1. Nor adrenaline